Species specific test is:
1. Precipitin test
2. Takayama test
3. Absorption elution test
4. Kastle Mayer test

Correct answer: 1. Precipitin test

Explanation: Ans: a (Precipitin test) Ref: Reddy, 27th ed, p. 396Precipitin test is a species specific blood test.Species specific testImmunological - Precipitin test, haemagglutination inhibition test, latex testEnzymological - LDH isoenzyme pattern. Peroxidase isoenzyme pattern.Tests for Blood groupAbsorption elution, absorption inhibition, mixed agglutination.Tests for identification of seminal stainsAcid phosphatase.Florence test - detects choline.Barberio test - detects spermin picrate crystals.CPK(creatine phosphokinase)Semen specific glycoprotein (P30)testVarious kinds of blood testTo detect blood stainsTestReactionBenzidine testReagents used are benzidine in glacial acetic acid and hydrogen peroxide. Colour obtained is greenish blue.Kastle- Mayer test (Phenolphthalein test)Gives pink colourTakayama's hemochromogen crystal testSalmon pink coloured crystalsTeichmann's haemin crystal testTypical brown rhombic haemin crystals are seen. Hydrogen peroxide is not usedSpectroscopic testIt is the most specific test.